Gadolinium is a contrast agent used for:
1. CT - angiography
2. Bronchography
3. MRI - Imaging
4. Contrast Sonography

Correct answer: 3. MRI - Imaging

Explanation: Ans. (c) MRI - ImagingRef.: Harrison 19th ed. 1440* The most commonly used compounds for contrast enhancement are gadolinium-based and they improve the visibility of internal body structures in magnetic resonance imaging.* MRI contrast agents alter the relaxation times of atoms within body tissues where they are present after oral or intravenous administration.* This relaxation emits energy which is detected by the scanner and is mathematically converted into an image.* Gadolinium containing MRI contrast agents are used for enhancement of vessels in MR angiography or for brain tumor enhancement associated with the degradation of the blood-brain barrier.